Preferred shunt procedure in patient with portal hypertension having acceptable operative risk and adequate liver function is
1. End to side portocaval shunt
2. End to end portocaval shunt
3. Mesocaval shunt
4. Distal splenorenal shunt

Correct answer: 4. Distal splenorenal shunt

Explanation: Answer- D. Distal splenorenal shuntPortosystemic shunt procedures such as splenorenal shunt and mesocaval shunt, may be indicated in patients with complication of portal hypertension.Given the early occlusion rate and the need for constant surveillance, it is generally advised that TIPS should be reserved for Child C classification of cirrhosis, whereas a distal splenorenal shunt is safe, durable, preferred and effective treatment in patients with acceptable operative risk and still good liver function.